Scalp laceration may resemble -
1. Incised wound
2. Abrasion
3. Gunshot wound
4. Contusion

Correct answer: 1. Incised wound

Explanation: Ans. is 'a' i.e., Incised wound Incised like or incised looking laceration: blunt force on areas where the skin is close to bone, and the subcutaneous tissues are scanty, may produce a wound which by linear splitting of the tissue, may look like incised wound. E.g. shin, scalp, eyebrows, cheek (zygomatic bone), lower jaw, iliac crest, knee & perineum.